Brain is presented for study in -
1. 10% formalin
2. 20% formalin
3. 30% formalin
4. 40% formalin

Correct answer: 1. 10% formalin

Explanation: Ans. is 'a' i.e. 10% formalin 10% formalin is used as preservative for histopathological examination of tissue but not used for poisoning or chemical analysis.